Primary complex in which of the following sites suggest congenital tuberculosis -
1. Lungs
2. Liver
3. Lymph nodes
4. Skin

Correct answer: 2. Liver